Dense zone of calcification at growing metaphysis seen in scurvy is ___:
1. Wimberger's ring sign
2. Pelkan spur
3. Frankel's line
4. Trummerfeld zone

Correct answer: 3. Frankel's line

Explanation: Ans. C. Frankel's line* Scurvy is due to the deposition of defective collagen in the bone.* Radiological features of scurvy:- Zone of provisional calcification at the growing metaphysis is dense, giving a white line called as Frankel's line,- Sclerotic rim around the epiphysis known as Wimberger's ring sign.- Area of lucency beneath the zone of metaphyseal calcification, which is known as Trummerfeld zone,- Metaphyseal spurs known as Pelkan spurs,- Pencil thin cortex,- Ground glass appearance of bones.